All of the following are characteristic features of tetralogy of Fallot (TOF), EXCEPT:
1. Valvular stenosis
2. Infundibular stenosis
3. Over riding of aorta
4. RVH

Correct answer: 1. Valvular stenosis

Explanation: Five features are characteristic for tetralogy of Fallot (TOF): VSD RVH RV outflow obstruction from infundibular stenosis Overriding aorta in half (< 50% of the aorta over the septum) A right-sided aortic arch is seen in 25% There may or may not be pulmonary valve stenosis as well, usually due to a bicuspid pulmonary valve. Ref: Bashore T.M., Granger C.B., Hranitzky P., Patel M.R. (2013). Chapter 10. Heart Disease. In M.A. Papadakis, S.J. McPhee, M.W. Rabow (Eds), CURRENT Medical Diagnosis & Treatment 2013.